Beta2-agonist cause all except
1. Hyperkalemia
2. Hyperglycemia
3. Tremer
4. Palpitaion

Correct answer: 1. Hyperkalemia

Explanation: Ans. is 'a' i.e., Hyperkalemia Adverse effects of inhalational agonists The most common side effects are muscle tremor and palpitation Hypokalemia Hyperglycemia Tolerance Throat irritation Ankle edema Other side effects are anxiety, headache, muscle cramps, dry mouth, arrhythmia, flushing (due to vasodilatation), hypoxemia, MI, disturbance of sleep and behaviour.